CO2 increases ventilation by acting mainly on receptors of-
1. Apneustic centre
2. Pneumotaxic centre
3. Ventral surface of medulla
4. DPG

Correct answer: 3. Ventral surface of medulla

Explanation: Ans. (c) Ventral surface of medulla(Ref: Ganong, 25th ed/p.657)The locations where central chemoreceptors are present are,#Ventral surface of medulla#Nucleus of tractus solitarius#Locus ceruleus#Hypothalamus